The ultrastructural finding seen in case of paraganglioma is:
1. Deposition of glycogen
2. Enlarged mitochondria
3. Shrunken mitochondria
4. Dense core granules

Correct answer: 4. Dense core granules

Explanation: . Dense core granules